The score in Glasgow coma scale of conscious person is
1. 8
2. 13
3. 15
4. 10

Correct answer: 3. 15